The first anaesthetic used in clinical anaesthesia:
1. Bupivacaine
2. Cocaine
3. Lidocaine
4. Procaine

Correct answer: 2. Cocaine

Explanation: Cocaine